Which of the following is not a treatment modality for stress incontinence?
1. Kelly suture
2. Stanley's combined vaginal and supra pubic operation
3. Marshall-Marchetti-Krantz Procedure
4. Fothergill's repair

Correct answer: 4. Fothergill's repair

Explanation: Fothergill's repair is used to treat uterine prolapse. Ref: Shaw's Textbook of Gynaecology, 12th Edition, Pages 138-39.